Optimum urine output in post-operative patient:-
1. 1 ml/kg
2. 2 ml/kg
3. 3 ml/kg
4. 4 ml/kg

Correct answer: 1. 1 ml/kg

Explanation: Urine output of more than 1 mL/kg is an adequate measure of renal perfusion in the absence of underlying renal disease.